A baby girl presents with bilateral inguinal masses, thought to be hernias but are found to be testes in the inguinal canals. Which karyotype would you expect to find in the child :
1. 46, XX
2. 46, XY
3. 47, XXY
4. 47, XYY

Correct answer: 2. 46, XY

Explanation: Answer is B (46 XY) This is a case of testicular feminization syndrome or complete androgen sensitivity syndrome. The characteristic feature as explained in the previous question is that phenotypically they present as females while genotypically they are males with an XY karyotype. 'Most patients present with an inguinal hernia containing testes in childhood or with primary amenorrhea in adulthood'.- Harrison